Hormone produced by endodermal sinus tumor is
1. Both 2 & 3
2. Alpha1 antitrypsis
3. AFP
4. hCG

Correct answer: 1. Both 2 & 3